The most common reason of replacement of dental restoration:
1. Secondary caries
2. Tooth fracture
3. Restoration fracture
4. None of the above

Correct answer: 1. Secondary caries

Explanation: The most common reason for the replacement of dental restorations is secondary caries at the gingival tooth-restoration margin.